Tinea versicolor is caused by:
1. Malassezia furfurCandida
2. Candida
3. Trichophyton rubra
4. Trichophyton mentagrophyte

Correct answer: 1. Malassezia furfurCandida

Explanation: Malassezia furfur